All are deep nuclei of cerebellum except-
1. Dentate nuclei
2. Emboliform nuclei
3. Fastigial nuclei
4. Caudate nuclei

Correct answer: 4. Caudate nuclei

Explanation: Ans. is 'd' i.e., Caudate nuclei Important facts about cerebellumo Cerebellum is divided into -i) Cerebellar Cortex (external):- Contains five cellspurkinje cells, granule cells, basket cells, stellate cells and golgi cells.ii) Deep cerebellar nuclei (external):- There are four nuclei dentate fastigial, globose, and emboliform.o The Axons of Purkinje cells are the only output from the cerebellar cortex, generally pass to the deep nuclei. Neurons of deep nuclei form the ultimate (find) efferent output of cerebellum.o Input (afferent) to cerebellum comes from two fibers(i) Climbing fibers and (ii) Mossy fiberso The output of the purkinje cells is inhibitory to deep cerebellar nuclei : However, the output of deep cerebellar nuclei is always excitatoryo Functionally cerebellum is divided intoi) Vestibulo Cerebellum - Concerned with gait, equilibrium, VOR.ii) Spinocerebellum - Smoothens and coordinates movement.iii) Neocerebellum - Involved in planning and programming of movements.